Buddy Strapping is used for
1. Radial Nerve Palsy
2. Clavical fracture
3. Both bone forearm fracture
4. Phalangeal fracture

Correct answer: 4. Phalangeal fracture